Type I hypersensitivity, the mediator is -(
1. IgE
2. IgD
3. IgM
4. IgC

Correct answer: 1. IgE

Explanation: Ans. is 'a' i.e., IgE